A 25 year old primigravide with mitral stenosis and mitral regurgitation is under labor. She wants normal delivery which would be the best way to provide analgesia in this lady
1. Inhalational analgesia
2. Intravenous opioids
3. Spinal anesthesia
4. Neuraxialblockde analgesia

Correct answer: 4. Neuraxialblockde analgesia

Explanation: D i.e. Neuraxialblockde analgesia Epidural (neuraxial) analgesia is the most effective and least depressant method of intrapartum pain relief and is often viewed as technique choice for relief of labor painQ. It blunts the hemodynamic effects of contractions and associated pain response, which is desirable for patients with hypertensive disorders, asthma, diabetes, and cardiac and intracardiac neurovascular diseaseQ